Pregnant patient comes at 34 weeks gestation with leaking. which investigation can be done for diagnosing the leak?
1. Speculum examination
2. USG
3. Non stress test
4. 3 swab test

Correct answer: 1. Speculum examination

Explanation: Speculum Examination- Done taking aseptic precautions to inspect the liquor escaping out through the cervix. During sterile speculum examination,ruptured membranes are diagnosed if Amniotic fluid pools in the posterior fornix or clear fluid flows from cervical canal